Thanatophobia is fear of:
1. Closed spaces
2. Flights
3. High places
4. Death

Correct answer: 4. Death

Explanation: D i.e. Death